The only FDA approved application of nitric oxide is ?
1. Primary pulmonary hypertension
2. Newborn with pulmonary hypertension
3. Congestive cardiac failure
4. HAPE

Correct answer: 2. Newborn with pulmonary hypertension

Explanation: Ans. is 'b' i.e., Newborn with pulmonary hypertension